Poor prognostic factors in the management of cancer cervix are the following except :
1. Young age
2. Well-defferentiated squamous cell carcinoma
3. Hydroureter
4. Adenocarcinoma

Correct answer: 2. Well-defferentiated squamous cell carcinoma

Explanation: Well-defferentiated squamous cell carcinoma